Mycetoma is caused by the following agents except-
1. Allescheria boydii
2. Madurella mycetomii
3. Trichosporum beigelli
4. Nocardia asteroides

Correct answer: 3. Trichosporum beigelli